Not a feature of Ocular Mucous Membrane Pemphigoid
1. Loss of fornices
2. Lid: Trichaiasis& Entropion
3. Involvement of mucosa of mouth
4. Type 1 hypersensitivity

Correct answer: 4. Type 1 hypersensitivity

Explanation: It is type 2 hypersensitivity and not type 1 Ocular Mucous Membrane Pemphigoid * Type II hypersensitivity * Age> 60 * MC in females * Chronic inflammatory subepithelial blistering disease with subsequent cicatrization C/F * Inflammatory signs * Cicatrization- Loss of fornices ,symblepharon, loss of limbal stem cells * Lid: Trichaiasis& Entropion * Cornea: Superficial punctate keratitis, corneal neovascularization & even perforation * Mucus of oral cavity, anus, vagina and urethra may be involved * Cutaneous vesicles & bullae may be formed * Involvement of trachea and esophagus Rx * Lubricants * Dapsone * Immunosuppressants * Treatment of severe dry eye